Clavicle is absent in:
1. Osteogenesis imperfecta
2. Cleidocranial dysostosis
3. Fibrous dysplasia
4. Osteopetrosis

Correct answer: 2. Cleidocranial dysostosis

Explanation: Cleidocranial Dysplasia
(Marie and Sainton’s disease, Scheuthauer-Marie-Sainton syndrome, mutational dysostosis).
A congenital disorder of bone formation manifested with clavicular hypoplasia or agenesis with a narrow thorax, which allows approximation of the shoulders in front of the chest.